Peripheral aneurysm is seen most commonly in which artery
1. Popliteal
2. Carotid
3. Radial
4. Median

Correct answer: 1. Popliteal

Explanation: Peripheral Aneurysm Popliteal type is the most common. Expansile pulsation which is confirmed using two finger placement with thrill and bruit is typical. Erosion into adjacent bone and skin, rupture are known to occur. Distal emboli may lead to digital gangrene. Pressure on the affected artery proximally reduces the size, and eliminates the thrill/bruit. Pressure distal to aneurysm increases the prominence of aneurysm swelling with bounding pulsation. Diagnosis- x-ray, arterial doppler, angiogram and echocardiogram. Treatment- open repair using arterial graft or endocascular stenting. {Reference: SRB's manual of surgery, 5th edition , page no. 202}